A 25-year-old lady, Neethu, in her 22nd week of pregnancy develops hypertension and mild proteinuria. Due to the baby's gestational age, her obstetrician chooses to carefully monitor the mother for any sign of developing complications rather than to immediately deliver the baby. Which of the following complications account for the most maternal deaths in preeclampsia?
1. Cerebral edema and laryngeal edema
2. Cerebral hemorrhage and adult respiratory distress syndrome
3. Convulsions and renal tubular necrosis
4. Hemolysis and hepatic infection

Correct answer: 2. Cerebral hemorrhage and adult respiratory distress syndrome

Explanation: The disease is preeclampsia, which may be complicated by a wide variety of serious conditions. Historically, the appearance of convulsions defined the transition from preeclampsia to eclampsia; however the concept of eclampsia is probably flawed because many other serious complications can occur even in the absence of seizures. Statistically, the most common causes of maternal death in preeclampsia are cerebral hemorrhage and pulmonary complications, notably adult respiratory distress syndrome. Cerebral edema and laryngeal edema, hemolysis and hepatic infarction, and hepatic rupture and renal cortical necrosis can all be complications of preeclampsia, but are not the most common causes of maternal mortality. Convulsions and renal tubular necrosis can be complications of preeclampsia, but convulsions indicate that eclampsia has developed. Other complications of preeclampsia not listed in the answer choices include retinal detachment, cortical blindness, pulmonary edema, disseminated intravascular coagulation, low platelet counts, and in the fetus, brain damage and death from asphyxia.